Medium term intervention for Vitamin A prophylaxis is –
1. Measles immunization
2. Vit A supplementation
3. Fortification of food
4. Green leafy vegetables

Correct answer: 3. Fortification of food